Ovary develops from?
1. Genital ridge
2. Genital tubercle
3. Wolfian duct
4. Mesonephric duct

Correct answer: 1. Genital ridge

Explanation: ANSWER: (A) Genital ridgeREF: Ganong's 22nd ed chapter 23On each side of the embryo, a primitive gonad arises from the genital ridge, a condensation of tissue near the adrenal gland. The gonad develops a cortex and a medulla. Until the sixth week of development, these structures are identical in both sexes. In genetic males, the medulladevelops during the seventh and eighth weeks into a testis, and the cortex regresses. Leydig and Sertoli cells appear, and testosterone and miillerian inhibiting substance are secreted. In genetic females, the cortex develops into an ovary and the medulla regresses.